Chlamydia trachomatis infection causes the following except
1. Pneumonitis
2. Rhinitis
3. Conjunctivitis
4. Urethritis

Correct answer: 2. Rhinitis

Explanation: (B) Rhinitis # Chlamydia trachomatis is one of three bacterial species in the genus Chlamydia, family Chlamydiaceae, class Chlamydiae, phylum Chlamydiae, domain Bacteria. C. trachomatis has only been found living inside the cells of humans, causing the following conditions:In MENIn WOMENIn BOTH SEXES* Prostatitis* Cervicitis* Urethritis* Epididymitis* Pelvic inflammatory disease (PID)* Infertility * Premature birth* Proctitis (rectal disease & bleeding) * Ectopic pregnancy* Reactive arthriti. * Pelvic pain, chronic or acute * Newborn trachomatous conjunctivitis & Neonatal Pneumonia (2-3 weeks of age)